Registration of births should be done
1. After 21 days
2. Before 21 days
3. Within 15days
4. Within 30 days

Correct answer: 2. Before 21 days

Explanation: Ref:Park's Textbook of Preventive and Social Medicine 25th Ed